Ormond's disease is:
1. Idiopathic lymphadenopathy
2. Retractile testis
3. Idiopathic retroperitoneal fibrosis
4. Idiopathic mediastinitis

Correct answer: 3. Idiopathic retroperitoneal fibrosis

Explanation: Ans: c (Idiopathic retroperitoneal fibrosis)Ref: Bailey & Love, 24th ed, p. 1151, T 67.16 & 23rd ed, p. 1024, T 56.9